True about V3 nerve is all except:
1. Lingual nerve runs with chorda tympani
2. Auriculotemporal nerve embrace middle meningeal artery
3. Otic ganglion is medial to nerve
4. Pure motor

Correct answer: 4. Pure motor

Explanation: Mandibular nerve (CN V3 )

 Sensory and motor
 Passes through foramen ovale into infratemporal fossa 

 ● Auriculotemporal Nerve arises from two roots that encircle the middle meningeal artery. 
 It carries postganglionic parasympathetic and sympathetic general visceral efferent (GVE) fibers to the parotid gland and sensory general somatic afferent (GSA) fibers to the temporomandibular joint and the skin of the auricle and the scalp.
 ● Lingual Nerve descends deep to the lateral pterygoid muscle, where it is joined by the chorda tympani. 
 It lies anterior to the inferior alveolar nerve on the medial pterygoid muscle, deep to the ramus of the mandible. It carries general sensation from the anterior two-thirds of the tongue. It also carries the postganglionic fibres from the submandibular ganglion to supply the submandibular and sublingual salivary gland. The preganglionic fibres are brought by the chorda tympani nerve.
●  Otic ganglion is functionally related to the glossopharyngeal nerve, which carries the pre-ganglionic fibres to the ganglion. It is anatomically (topographically) related to the mandibular nerve (branch of trigeminal), which carries post ganglionic fibres to parotid salivary gland.
Key Concept
Mandibular nerve (CN V3 )

 Sensory and motor
 Passes through foramen ovale into infratemporal fossa